Snow shoe effect indicates:
1. Broad coverage
2. Physiologic basing
3. Indirect retention
4. All of the above

Correct answer: 1. Broad coverage